A 35-year-old lady with chronic backache. On X-ray she had a D12 collapse. But intervertebral disk space is maintained. All are possible except:
1. Multiple myeloma
2. Osteoporosis
3. Metastasis
4. Tuberculosis

Correct answer: 4. Tuberculosis

Explanation: (d)- Characteristic radiological feature of Pott's spine is obliteration of disk space with destruction of two adjacent vertebrae.- This feature differentiate TB spine from other diseases causing vertebral destruction (like metastasis) in which disk space is preserved.